Specificity of a test means, all except -
1. Identifies those without disease
2. True positive
3. True negative
4. An ideal screening test should have 100% specificity

Correct answer: 2. True positive

Explanation: Specificity is the ability to identify correctly who do not have disease i.e., true negative.
The ability to identify correctly all those having a disease, i.e., true positive is known as sensitivity.
An ideal test should be 100% sensitive & 100% specific.